Vertical transmission of antibody can occur in all of the following, EXCEPT
1. Rh incompatibility
2. Isoimmune thrombocytopenia
3. Neonatal toxic erythema
4. Neonatal myasthenia gravis

Correct answer: 3. Neonatal toxic erythema

Explanation: Answer is C (Neonatal toxic erythema) Neonatal toxic erythema is characterized by benign self limiting evanescent eruptions and are seen in about 50% of full term infants. Preterm infants are less affected and the cause of erythema toxicum is not known. Rh incompatibility isoimmune thrombocytopenia and neonatal myasthenia gravis are all produced due to passive transfer of antibodies from mother to fetus.